Diseases caused by Chlamydia are all except -
1. LGV
2. Trachoma
3. Granuloma inguinale
4. Nonspecific cervicitis

Correct answer: 3. Granuloma inguinale

Explanation: Granuloma inguinale is caused by Klebsiella granulomatis ,characterised by painless ulcers or hypertrophic granulomatous lesions on genital region. Disease caused by Chlamydua include trachoma,LGV,cervicitis, urethritis, proctitis, psittacosis, atypical pneumonia. Reference Harrison20thedition pg 1123